Apexum device is
1. NiTi device for periapical debridement through root canals.
2. NiTi device to locate the apex of the root canal.
3. Stainless device for periapical debridement through root canals
4. Fiberoptic device to locate the apex of the root canal.

Correct answer: 1. NiTi device for periapical debridement through root canals.